Cushing's disease shows -
1. Increased ADH
2. Increased urinary catecholamines
3. Increased ACTH and decreased Cortisol
4. Increased ACTH and increased Cortisol

Correct answer: 4. Increased ACTH and increased Cortisol

Explanation: there is increased ACTH and hyper cortisol is_ie obesity hypertension osteoporosis diabetes ( Harrison 17 pg 2255)